Which of the following congenital cardiovascular malformations is most commonly associated with maternal rubella infection?
1. Isolated dextrocardia
2. Patent ductus arteriosus
3. Persistent truncus arteriosus
4. Coarctation of the aorta

Correct answer: 2. Patent ductus arteriosus

Explanation: Patent ductus arteriosus (PDA) is the most common congenital cardiac malformation associated with rubella infection of the mother. It is unclear how the rubella virus acts to cause PDA. RUBELLA:-PDA>pulmonary stenosis